The most common organism causing food poisoning in canned food is
1. S typhi
2. V cholarae
3. H pylori
4. C botulinum

Correct answer: 4. C botulinum

Explanation: Clostridium botulinum: strict anaerobic, cause botulism. Source of foodborne botulism is preserved food, meat and meat products, canned foods. Proteolytic varieties can digest food, which appears spoiled. The cans are often inflated and show bubbles on opening. Non-proteolytic varieties have food unchanged. Reference: Textbook of Microbiology; Anathanarayan and paniker's; 10th edition; Page no: 269